C- ANCA is present in
1. Microscopic polyangitis
2. Churg - Strauss syndrome
3. Kawasaki disease
4. Wegner's granulomatosis

Correct answer: 4. Wegner's granulomatosis

Explanation: (Wegner's granulomatosis) (363 - Basic pathology -Robins 8th)* c ANCA is typical of Wegner's granulo matosis* p- ANCA is found in most cases of microscopic polyangitis and churg. Strauss syndrome* Cytoplasmic localization (c-ANCA) wherein the most common target antigen is proteinase 3 (PR-3) a neutrophil granules constituents* Perinuclear localization (p-ANCA) wherein most of the autoantibodies are specific for myelo peroxidase (MPO)Large vessel vasculitisMedium vessel vasculitisSmall vessel vasculitisGiant cell (temporal) arterietisTakayasu arteritis* Polyarteritis nodosa* Kawasaki disease* Wegner's granulomatosis* Churg - Strauss syndrome* Microscopic polyangitis